Meconium contains all except –
1. Lanugo
2. Bacterial flora
3. Epithelial debris
4. Bilirubin

Correct answer: 2. Bacterial flora

Explanation: Meconium contains -


Intestinal epithelial cells
Lanugo
Mucus  
Amniotic fluid    
Bile                                                                                                                                                                                                                                                                                         6. Water